Phelp sign is seen in:
1. Acoustic neuroma
2. Glomus tumour
3. Menier disease.
4. Otosclerosis.

Correct answer: 2. Glomus tumour

Explanation: Ans: b (Glomus tumour) Ref: Dhingra, 4th ed,p. 107Most common benign tumour of middle earIt is a non encapsulated locally invasive vascular tumourAge group - Middle aged femalesHistology - Paraganglionic cells of neural crest originTypes 1. Glomus jugulare--from jugular bulb2. Glomus tympanicum--from promontorySymptoms:Progressive conductive deafness, pulsating tinnitusSigns:Brown sign (pulsating sign)-when ear canal pressure is increased tumour pulsates vigorously and blanches, and reverse on releasing pressure.Rising sun sign-looking through an otoscope tumour appears to be arising from the floor of middle earInvestigation of choiceC.T scan- shows erosion of caroticojugular spineTreatment-Surgical removal